All are indications of intra uterine insemination EXCEPT:
1. Vicid cervical mucus
2. Oligozoospermia
3. Tubal blockade
4. Immune factor of sperms

Correct answer: 3. Tubal blockade

Explanation: Tubal blockade REF: A handbook of intrauterine insemination by Godwin Ikechukwu Meniru, Peter R. Brinsden, Ian Logan Craft Page 4 Indications of intrauterine insemination: Ejaculatory failure (neurogenic, psychogenic, hypospadias, retrograde ejaculation) Cervical factor (poor cervical mucus, cervical mucus hostility) Male subfertility (oligozoospermia, asthenozoospermia, teratozoospermia) Immunological (male/female antisperm antibodies) Endometriosis Idiopathic Combined factors